Venacaval opening in diaphragm is at which level ?
1. T6
2. T8
3. T10
4. T12

Correct answer: 2. T8

Explanation: Ans. is 'b' i.e., T8 OpeningVertebral levelIn which part of diaphragmPassing structureVena CavalT8Central tendon# Inferior vena cava# Right phrenic nerveOseophagealT10Muscular portion derived from right crus# Oesophagus# Oesophageal br. of left gastric artery# Gastric or vagus nerveAorticT12Osseoaponeurotic between right and lateral crus# Aorta# Thoracic duct# Azygous vein